Dequervain's tenosynovitis is a stenosing tenosynovitis of the
1. Tendo Achilles
2. Iliolumbar ligament
3. First extensor compartment of the wrist
4. Median nerve

Correct answer: 3. First extensor compartment of the wrist

Explanation: Dequervain's tenosynovitis is a stenosing tenosynovitis of the first extensor compartment at the wrist comprising the tendons of extensor pollicis brevis and Abductor pollicis longus.